A young man presents to the emergency department with a maculopapular rash 2 weeks after healing of a painless genital ulcer. The most likely etiological agent is:
1. Treponema Pallidum
2. Treponema Peunae
3. Chlamydia Trachomatis
4. Calymmatobacter granulomatis

Correct answer: 1. Treponema Pallidum

Explanation: Humans are the only natural reservoir of Treponema pallidum. It readily penetrates abraded skin and mucous membranes to multiply locally and spread through the blood stream or lymphatics. A developing maculopapular rash two weeks after a painless genital ulcer indicates a diagnosis of secondary syphillis. Ref: Primary care medicine: Office evaluation and management of the adult patient, by Allan H.Goroll,Albert G.Mulley, Page 989.